Treatment time for topical fluoride application on deciduous teeth is
1. 1 minute
2. 2 minute
3. 3 minute
4. 4 minute

Correct answer: 4. 4 minute

Explanation: 4-minute treatment time has been typically recommended for professionally applied topical fluoride solutions, gels, or foams.